The laryngeal mask airway used for securing the airway of a patient in all of the following conditions except –
1. In a difficult intubation
2. In cardiopulmonary resuscitation
3. In a child undergoing an elective / routine eye surgery
4. In a patient with a large tumour in the oral cavity

Correct answer: 4. In a patient with a large tumour in the oral cavity

Explanation: Oropharyngeal mass (tumor) or abscess is contraindication for LMA.